Testicular lymphatics drain into
1. Deep inguinal lymphnodes
2. Internal iliac lymph nodes
3. Para aortic lymph nodes
4. Superficial inguinal lymphnodes

Correct answer: 3. Para aortic lymph nodes

Explanation: Lymphatic drainage of the testes follows the testicular arteries back to the paraaortic lymph nodes, while lymph from the scrotum drains to the inguinal lymph nodes. Ref: BD Chaurasia; 6th edition